Half life of Cu-T 380A is:
1. 2 years
2. 3 years
3. 5 years
4. 10 years

Correct answer: 4. 10 years

Explanation: Ans: D i.e. 10 years Half life of IUCD Nova T has silver added to the copper wire thereby increasing its lifespan to 5 years Copper T 380A known as Paraguard has a lifespan of 10 years